The nasal septum is supplied by all the following except:
1. Nasopalatine nerve
2. Posterior ethmoidal nerve
3. Pterygopalatine ganglion
4. Nasociliary nerve

Correct answer: 2. Posterior ethmoidal nerve

Explanation: General sensory nerves, arising from trigeminal nerve, are distributed to whole of the septum.

The anterosuperior part of the septum is supplied by the internal nasal branches of the anterior ethmoidal  nerve.
Its anteroinferior part is supplied  by anterior superior alveolar nerve.
The posterosuperior part is supplied by the medial posterior superior nasal branches of the pterygopalatine ganglion.
The posteroinferior part is supplied by the nasopalatine  branch of the pterygopalatine ganglion. lt is the main nerve.


Special sensory nerves or olfactory nerves are confined to the upper part or olfactory area.